Most common genetic mutation associated with Hirschsprung disease is:
1. RET gene
2. END3 gene
3. ATP 7A
4. EDNRB gene

Correct answer: 1. RET gene

Explanation: Genetic studies have identified mutations in different genes contributing to the development of Hirschsprung disease. The more common mutations are RETgene (7-35% of sporadic cases), EDNRB gene (7%) END3 gene (5%) Ref: Seminars in Pediatric Surgery (2008) 17, 266-275.